Which of the following is a retroperitoneal structure-
1. Ileum
2. Jejunum
3. Ureter
4. Appendix

Correct answer: 3. Ureter

Explanation: Ans. is 'c' i.e., UreterRelation to peritoneumOrganso Intraperitoneali) Complete intraperitonealii) Partially coveredStomach, jejunum, ileum, caceum, appendixAscending colon, descending colon, rectumo RetroperitonealDuodenum, pancreas, kidney, ureter, suprarenal glando SubperitonealUrinary bladder, prostate, seminal vesicle, cervix, vagina